Which of the given nerve carries taste sensation from anterior two third of tongue?
1. Facial nerve
2. Glossopharyngeal nerve
3. Lingual nerve
4. Vagus nerve

Correct answer: 1. Facial nerve

Explanation: Taste sensation from anterior two third ( fungiform , filiform papillae ) of the tongue is carried by chorda tympani nerve . Chorda tmpani nerve lies within the lingual nerve upto the infratemporal fossa. In the infratemporal fossa chorda tympani comes out of the lingual nerve and enters the pterotympanic fissure to join the facial nerve. Taste sensation from posterior 1/3rd of tongue (circumvallate papillae) is carried by glossopharyngeal nerve.